Which of the following is transmitted through foramen spinosum?
1. Middle menigeal artery
2. Internal carotid artery
3. Facial nerve
4. Mandibular nerve

Correct answer: 1. Middle menigeal artery

Explanation: Structures passes through foramen spinosum are: middle meningeal artery and vein, meningeal branch of mandibular nerve Notes: 1. structures passes through foramen rotundum: maxillary nerve 2. Through foramen ovale: mandibular nerve,accessory meningeal artery, lesser petrosal nerve Ref BDC volume 3;sixth edition pg 57